Which of the following antimicrobials should not be given to a chronic asthmatic patient managed on theophylline therapy?
1. Erythromycin
2. Cefotaxime
3. Cotrimoxazole
4. Amoxicillin

Correct answer: 1. Erythromycin

Explanation: Drugs which inhibit theophylline metabolism and increase its plasma level are -erythromycin, ciprofloxacin, cimetidine, oral contraceptives, allopurinol etc. Enzyme Inducers G - Griseofulvin P - Phenytoin R - Rifampicin S - Smoking Cell - Carbamazepine Phone - Phenobarbitone Enzyme Inhibitors Vit -Valproate K - Ketoconazole Can't -Cimetidine Cause - Ciprofloxacin Enzyme -Erythromycin Inhibition - Isoniazid